Multibacillary leprosy follow up for -
1. 12-18 months
2. 2 years
3. 5 years
4. 10 years

Correct answer: 3. 5 years

Explanation: It is recommended that multibacillary cases be examined clinically atleast once a year for a minimum period of 5 years after the completion of therapy. Reference; Park's Textbook of preventive and social medicine, 24th edition.Pg no. 344